In a-thalassemia, Hb Barts is said when number of gene loci affected is:
1. 1
2. 2
3. 3
4. 4

Correct answer: 4. 4

Explanation: Answer- D. 4The alpha-thalassemias are caused by inherited deletions that result in reduced or absent synthesis of alpha-globin chains.Normally, there are four alpha-globin genes.